Fatty acid synthase complex contain the following enzymes except:
1. Enoyl reductase
2. Ketoacyl reductase
3. Acetyl: CoA carboxylase
4. Dehydratase

Correct answer: 3. Acetyl: CoA carboxylase

Explanation: Ans. C. Acetyl: CoA carboxylase(Ref: Harper 31/e page 217)Six enzyme activities of fatty acid synthase complex are:Ketoacyl SynthaseMalonyl-acetyl transacylaseHydrataseEnoyl reductaseKetoacyl reductaseThioesterase (Deacylase)